Which of the following is not a cestode ?
1. Diphyllobothrium latum
2. Taenia saginata
3. Schistosoma mansonia
4. Echinococcus granulosus

Correct answer: 3. Schistosoma mansonia

Explanation: Ans. is 'c' i.e., Schistosoma mansonia